Not a feature of chronic liver disease
1. Hepatomegaly
2. Variceal bleeding
3. hepatic encephalopathy
4. Koilonychia

Correct answer: 4. Koilonychia

Explanation: Koilonychia is not a feature of chronic liver disease.